Blaschko's lines are present along the:
1. Nerves
2. Lymphatics
3. Vessels
4. Lines of development

Correct answer: 4. Lines of development

Explanation: Ans. D. Lines of development.The lines do not correspond to any known nervous, vascular or lymphatic structures, but represent the developmental growth pattern of the skin.Blaschko's Lines:a. The lines of Blaschko were delineated over 100 years ago.b. First described by Blaschko in 1901.The pattern is attributed to the lines of migration and proliferation of epidermal cells during embryogenesis (i.e., the bands of abnormal skin represent clones of cells carrying a mutation in a gene expressed in the skin).c. The lines do not correspond to any known nervous, vascular or lymphatic structures, but represent the developmental growth pattern of the skin.d. Generally, longitudinally oriented on the limbs and circumferential on the trunk, but not perfectly linear.e. Implies a mosaic disorder (e.g., Incontinentia pigmenti, inflammatory linear verrucous epidermal nevus).